All are true regarding tetanus except -
1. Transmission through contaminated wounds and injuries
2. More common in winters and dry weather
3. Reservoir in soil and intestines of human and animals
4. No herd immunity or life long immunity

Correct answer: 2. More common in winters and dry weather

Explanation: Tetanus (especially NNT) has a marked seasonal incidense in India:>50% cases in July-September. Reference:Park's textbook of preventive and social medicine,K.Park,23rd edition,page no:310-314.